A patient has loss of sensation at angle of mandible (jaw) and parotid area. Which of the following nerve is most likely to be injured -
1. Mandibular nerve
2. Auriculotemporal nerve
3. Lesser occipital nerve
4. Greater auricular nerve

Correct answer: 4. Greater auricular nerve